Which of the following is NOT TRUE about ECG changes in hyperkalemia?
1. Peaked P-wave
2. Peaked T -wave
3. Sinusoidal shape complex
4. Broad QRS Complex

Correct answer: 1. Peaked P-wave

Explanation: With mild to moderate hyperkalemia, there is reduction of the size of the P wave and development of peaked T waves. Severe hyperkalemia results in a widening of the QRS complex, and the ECG complex can evolve to a sinusoidal shape.